Which one of the following drugs is most suitable for management of essential tremors-
1. Diazepam
2. Levodopa
3. Metoprolol
4. Propranolol

Correct answer: 4. Propranolol